Which among the following is the receptor for inverse stretch reflex?
1. Trail fibre ending
2. Golgi tendon
3. Tail fibre ending
4. Muscle spindle

Correct answer: 2. Golgi tendon

Explanation: Up to a point, the harder a muscle is stretched, the stronger is the reflex contraction. However, when the tension becomes great enough, contraction suddenly ceases and the muscle relaxes. This relaxation in response to strong stretch is called the inverse stretch reflex. The receptor for the inverse stretch reflex is in the Golgi tendon organ. There are 3-25 muscle fibers per tendon organ. Ref: (2012). Chapter 12. Reflex and Voluntary Control of Posture & Movement. InBarrett K.E., Boitano S, Barman S.M., Brooks H.L. (Eds), Ganong's Review of Medical Physiology, 24e.